Following are true about Boerhaave syndrome, except:
1. Spontaneous perforation of the esophagus occurs due to violent contraction against a closed glottis.
2. Has lower mortality rate compared to a Mallory-Weiss tear
3. Layers of the esophageal musculature are ruptured completely
4. Follows a bout of heavy drinking

Correct answer: 2. Has lower mortality rate compared to a Mallory-Weiss tear

Explanation: Ans. (b) Has lower mortality rate compared to Mallory - Weiss tearRef: Bailey and Love 26th edition, Page 992* Boerhaave syndrome is a through and through perforation* Has high Mortality rate compared to Mallory - Weiss tear* It usually happens under alcohol influence with vomiting against closed glottis.